IDSP is based on all types of Surveillance except:-
1. Clinical
2. Geographical
3. Laboratory
4. Epidemiological

Correct answer: 2. Geographical

Explanation: IDSP SURVEILLANCE SYSTEM - KEY ELEMENTS: Investigation and confirmation. (Epidemiological, clinical, laboratory) Collection of data. Analysis and interpretation of data. Feed back and dissemination of results. Response - a link to public health program special actions for prevention and control.